End point of fatty acid synthesis is formation of -
1. Palmitic acid
2. Stearic acid
3. Oleic acid
4. Linoleic acid

Correct answer: 1. Palmitic acid

Explanation: Ans. is 'a' i.e., Palmitic acido Palmitate (Palmitic acid) is formed after a total of seven cycles in fatty acid synthesis.